Prolonged use of steroids may cause -
1. Decrease in bone matrix protein
2. Hypoglycemia
3. Hypotension
4. Early healing of wound

Correct answer: 1. Decrease in bone matrix protein

Explanation: Ans. is 'a' i.e., Decrease in bone matrix protein Steroids can cause osteoporosis and decrease in bone matrix --> They cause increased bone resorption and decrease bone formation --> Negative calcium balance. About others options They cause hyperglycemia, hypertension and delayed wound healing.